Anaesthetic agent of choice in congenital heart disease with right to left shunt is
1. Thiopentone
2. Propofol
3. Etomidate
4. Ketamine

Correct answer: 4. Ketamine

Explanation: Ketamine being sympathomimetic causes raised left sided pressures, which obstructs shunt flow.